Rhythm of Distraction osteogenesis as advised by Ilizarov?
1. Continuous
2. 0.25 mm four times a day.
3. 0.33 mm three times a day.
4. 1.0 mm four times a day.

Correct answer: 2. 0.25 mm four times a day.